Garden spade deformity is seen in -
1. Barton's fracture
2. Code's fracture
3. Smith's fracture
4. Bennet's fracture

Correct answer: 3. Smith's fracture

Explanation: Ans. is 'c' i.e., Smith's fractureSmith fracture (Reverse colic's fracture)o It is a fracture of the distal third of radius with palmar displacement. Hence, it is called as reverse Colles fracture (In colies fracture there is dorsal displacement).o It is less common than Colles fracture and is caused by a fall on the back of the hand,o The deformity is opposite to that of Colle's fracture and is called the "garden spade deformity',o Treatment is closed reduction and immobilization in the cast with the forearm in supination and wrist in extension.o Percutaneous pinning may be done in unstable fractures.